Capsule of Cryptococcus in CSF is best seen by-
1. Gram stain
2. India ink preparation
3. Mucicarmine stain
4. Methenamine silver stain

Correct answer: 2. India ink preparation

Explanation: Negative staining with India ink or Nigrosine are used to stain the capsule of Cryptococcus neoformans in CSF or blood.